Condition where pulsatile tumor is found in external auditory meatus which bleed on touch -
1. Cholesteatoma
2. Polyp
3. Glomus tumor
4. Malignancy middle ear

Correct answer: 3. Glomus tumor